Miliary shadow in chest X-ray is seen in A/E -
1. TB
2. Sarcoidosis
3. Klebsiella
4. Metastasis

Correct answer: 3. Klebsiella

Explanation: Ans. is 'c' i.e., Klebsiella Causes of Miliary mottlingInfection Bacterial (3TB, Brucellosis, Bronchopneumonia, Melioidosis), viral (varicella i chicken pox), Fungal [Histoplasmosis, Coccidiodomycosis, blastomycosis, cryptococcosis).Cardiac Mitral stenosis. Pulmonary edema, multiple pulmonary infarct.Pneumoconiosis Coal worker pneumoconiosis, silicosis.NeoplasticLymphangitis carcinomatosis, alveolar cell Ca., lymphoma, leukemia, metastasis.Allergic '.-Loeffler's syndrome, tropical eosinophilia.Others 1PF, RA, Sarcoidosis, Histocytosis-X, HMD. Haemosiderosis.